True about post spinal headache
1. Frontal
2. More in lying down
3. Low incidence with thin (25 G) needle
4. Increased by abdominal compression

Correct answer: 3. Low incidence with thin (25 G) needle

Explanation: C i.e. Low incidence with thin needle